A drug 'X' is an art adrenergic blocker but paradoxically produces vasoconstriction. 'X' is:
1. Phenoxybenzamine
2. Ergotamine
3. Prazosin receptors
4. Tolazoline

Correct answer: 2. Ergotamine

Explanation: Ergot alkaloids are the alpha-blockers that can cause vasoconstriction. The vasoconstriction caused by ergot alkaloids is due to stimulation of serotonin receptors. Ergotamine It acts as a partial agonist and antagonist at art adrenergic and all subtypes of 5-HT1 and 5-HT2 receptors, but does not interact with 5-HT3 or dopamine receptors. Sustained vasoconstriction , visceral smooth muscle contraction, vasomotor centre depression are produced, and the action of NA and 5-HT on smooth muscles is antagonized. It is a potent emetic and oxytocic. At high doses CNS stimulation and paresthesias can be seen.